Which of the following variants of hypoxia does not stimulate peripheral chemoreceptors-
1. Hypoxic hypoxia
2. Anemic hypoxia
3. Stagnant hypoxia
4. Histotoxic hypoxia

Correct answer: 2. Anemic hypoxia

Explanation: Ans. (b) Anemic hypoxia(Ref: Ganong, 25th ed/p.647)Since arterial Po2 is determined by dissolved oxygen, the value of arterial Po2 is normal in anemic hypoxiaSo, the peripheral chemoreceptors are not stimulated